A 40 year old man is showing symptoms of mania since few days. What is the minimum time duration for the diagnosis for mania?
1. 1 week
2. 2 week
3. 3 week
4. 4 week

Correct answer: 1. 1 week

Explanation: A distinct period of abnormally and persistently elevated, expansive, or irritable mood, lasting at least 1 week (or any duration if hospitalization is necessary). Ref: Harrison's Online > Part 17. Neurologic Disorders > Section 5. Psychiatric Disorders > Chapter 391. Mental Disorders > Mood Disorders > Bipolar Disorder > Clinical Manifestations > Table 391-10.